The American dental association (ADA) specification number for non- aqueous elastomeric dental impression material is:
1. 19
2. 20
3. 21
4. 26

Correct answer: 1. 19